Longest acting glucocorticoids is ?
1. Prednisone
2. Prednisolone
3. Cortisone
4. Dexamethasone

Correct answer: 4. Dexamethasone

Explanation: Ans. is 'd' i.e., Dexamethasone